Lynching is :
1. Practised in North America
2. Practised by white people on Negros
3. Hanging publically on a tree
4. All

Correct answer: 4. All

Explanation: D i.e. All